Consider the following characteristics of vaginal discharge in bacterial vaginosis :
1. Green and thick
2. pH < 4.5
3. Increase in number of lactobacilli
4. Whiff test positive

Correct answer: 4. Whiff test positive

Explanation: Whiff test positive